Schizophrenia is characterized by all, except:
1. Elation
2. Auditory hallucination
3. Catatonia
4. Delusion

Correct answer: 1. Elation

Explanation: Ans. Elation